Which of the following is an example of a nonvenereal disease –
1. Endemic syphilis
2. Gonorrhea
3. Chancroid
4. LGV

Correct answer: 1. Endemic syphilis